Selective V2 receptor agonist useful for the treatment of central diabetes insipidus is :
1. Arginine vasopressin
2. Desmopressin
3. Lypressin
4. Terlipressin

Correct answer: 2. Desmopressin